Incubation period of influenza -
1. 18 - 72 hrs
2. 1 - 6 hrs
3. 5 - 10 days
4. < 1 hrs

Correct answer: 1. 18 - 72 hrs